Narrowest part of esophagus is at?
1. Cricopharyngeal sphincter
2. At the Aortic constriction
3. At the crossing of left principal bronchus
4. At the diaphragmatic opening

Correct answer: 1. Cricopharyngeal sphincter

Explanation: Ans. is 'a' i.e., Cricopharyngeal sphincter * The narrowest part of esophagus is its commencement at the cricopharyngeal sphincter.